Fibers more susceptible to hypoxia are:
1. Preganglionic
2. Postganglionic
3. Both
4. None

Correct answer: 1. Preganglionic

Explanation: Preganglionic nerve fibers are more susceptible to hypoxia Ref:Guyton and Hall textbook of medical physiology 12th edition ,pag number:72,73